Characteristic feature of early congenital syphilis is –
1. Microcephaly
2. Saddle nose
3. Interstitial keratitis with saber shin
4. Vesicular rash with bulla over palms and soles

Correct answer: 4. Vesicular rash with bulla over palms and soles

Explanation: Vesicle and bullae are seen in early congenital syphilis. Interstitial keratitis and saddle nose are seen in late congenital syphilis.